The normal cellular counterparts of oncogenes are important for the following functions, except -
1. Promotion of cell cycle progression
2. Inhibition of apoptosis
3. Promotion of DNA repair
4. Promotion of nuclear transcription

Correct answer: 3. Promotion of DNA repair

Explanation: An oncogene is a gene that has the potential to cause cancer. In tumor cells, they are often mutated or expressed at high levels. Most normal cells will undergo a programmed form of rapid cell death (apoptosis) when critical functions are altered. Activated oncogenes can cause those cells designated for apoptosis to survive and proliferate instead. Most oncogenes require an additional step, such as mutations in another gene, or environmental factors, such as viral infection, to cause cancer. Since the 1970s, dozens of oncogenes have been identified in human cancer. Many cancer drugs target the proteins encoded by oncogenes. Promotion of dna repair is not a. Function.